Most common cause of rubeosis iridis
1. Tumor
2. CRAO
3. Radiation retinopathy
4. Diabetic retinopathy

Correct answer: 4. Diabetic retinopathy

Explanation: it develops following retinal ischemia which is a common feature of:
●proliferative diabetic retinopathy 
●central retinal vein occlusion 
●sickle cell retinopathy 
●Eale's disease